Which of the following does not develop from the neural ectoderm?
1. Vitreous
2. Aqueous
3. Retinal pigment epithelium
4. Fibres of optic nerve

Correct answer: 2. Aqueous

Explanation: The structures developing from the Neural ectoderm are : Retina with its pigment epithelium Epithelial layers of ciliary body Epithelial layers of iris Sphincter and dilator pupillae muscles Optic nerve(neuroglia and nervous elements only) Melanocytes Secondary vitreous Ciliary zonules (tertiary vitreous) Reference: A.K.Khurana; 6th edition; Page no:12